Exogenous pyrogen is?
1. TNF-a
2. Lipopolysaccharide
3. Neurotropic factor
4. IL-6

Correct answer: 2. Lipopolysaccharide

Explanation: Ans. is 'b' i.e., Lipopolysaccharide * Pyrogens may be exogenous or endogenousa) Exogenous - Bacterial toxins (eg: LPS)b) Endogenous-IL-1, TNF-a, IL-6, Interferons, Ciliory's neurotropic factor